Non-selective beta blocker is contraindicated in diabetes because
1. Hyperglycemia
2. Hypoglycemic unawareness
3. Tachycardia
4. Hypotension

Correct answer: 2. Hypoglycemic unawareness

Explanation: Hypoglycemia stimulates sympathetic system l/t palpitations which are neutralized by sympatholytics like beta blockers. Ref: HL Sharma 3rd ed.